In typical hanging knot is at which site
1. Mastoid tip
2. Occiput
3. Mandible
4. Ear lobe

Correct answer: 2. Occiput

Explanation: In typical hanging the ligature runs from the midline above the thyroid cartilage symmetrically upward on both sides of the neck to the occipital region and the knot is over the central part of the neck, i.e. centrally over the occiput Ref: The synopsis of forensic medicine & toxicology pg:176